Rugae area is a
1. Primary stress bearing area
2. Secondary stress bearing area
3. Relief area
4. None of the above

Correct answer: 2. Secondary stress bearing area

Explanation: In the area of rugae, the palate is set to an angle and is covered by thin tissue, making it a secondary stress bearing area.